Which of the following is a cause of intravascular hemolysis?
1. Warm type autoimmune hemolytic anemia
2. PNH
3. Cold agglutinin disease
4. Hereditary spherocytosis

Correct answer: 2. PNH

Explanation: Intravascular destruction of red blood cells: Microangiopathy (eg aortic stenosis, prosthetic valve leak) Transfusion reactions (eg ABO incompatibility) Infection (eg clostridial sepsis, severe malaria) Paroxysmal cold hemoglobinuria March hemoglobinuria Paroxysmal nocturnal hemoglobinuria Following intravenous infusion with hypotonic solutions Snake bites Exposure to compounds with high oxidant potential (eg copper in Wilson's disease)